Which of the following is a zoonotic disease?
1. Filariasis
2. Malaria
3. Hydatid cyst
4. Dengue fever

Correct answer: 3. Hydatid cyst